Fetus of four months intrauterine life shows the following features except
1. Length of 16cm
2. Sex can be recognised
3. Nails upto tip of the finger
4. Prescence of meconium in duodenum

Correct answer: 3. Nails upto tip of the finger

Explanation: Ans) c (Noils upto tip of the finger) Ref KNS Reddy 29th ed p 75At the end of four months a foetus shows the following characteristics:* Length 16cm* Weight 120gm* Sex can be recognised* Lanugo hair appears on the body* Convolutions begin to develop in brain* Meconium is found to appear in the duodenumNails reach the tip of fingers by the end of 8th month Rule of Hasse- It is used for calculating the age of the foetus. In the first five months of pregnancy the square root of crown rump length gives the approximate age of foetus in months. In the last five months the length in centimeters divided by 5 gives the age in months.